ARC-5 in countercurrent electrophoresis of serum is diagnostic of:
1. Cysticercosis
2. Cryptococcosis
3. Hydatidosis
4. Brucellosis

Correct answer: 3. Hydatidosis

Explanation: Ans. is 'c' i.e., Hydatidosis(Ref: Harrison, 19th/e, p. 1433)* Serological test for hydatid cyst: Precipitin reaction, Complement fixation test, Hemagglutination test, Flocculation test, IFA, Immuno electrophoresis (Arc 5) test.Detection of antibody to specific echinococcal antigens by immunoblotting has the highest degree of specificity. Q